Which of the following drugs have least affinity for CYP3A4?
1. Omeprazole
2. Lansoprazole
3. Esomeprazole
4. Rabeprazole

Correct answer: 4. Rabeprazole

Explanation: Ans. (D) Rabeprazole(Ref: Katzung 13th/1060, KDT 8th/e p701)Proton pump inhibitors are metabolized by CYP3A4 and CYP2C19. They are also inhibitors of these enzymes. Rabeprazole and pantoprazole has less affinity for these enzymes.